Which of the following agents is recommended for medical treatment of variceal bleed
1. Octreotide
2. Desmopressin
3. Vasopressin
4. Nitroglycerin

Correct answer: 1. Octreotide

Explanation: Somatostatin or its analogue octreotide are the agents of choice for medical management of variceal bleed Octreotide and somatostatin have been found to be effective in achieving hemostasis and preventing early rebleeding Terlipressin is released in sustained and slow manner. It does not share several systemic side effects of vasopressin and may be used to control variceal bleeding Drugs used in portal hypertension Drugs decreasing portal blood flow Non selective beta blockers Vasopressin and Terlipressin Somatostatin and octreotide Drugs decreasing intrahepatic resistance Nitrates Alpha-1 - blocker (prazocin) Angiotensin receptor blockers Ref: Harrison's 19th edition Pgno :2063-2064